In abdominal pregnancy, the pathognomonlc sign is:
1. Jacquemier
2. Chadwick
3. Puskacek
4. Weinberg

Correct answer: 4. Weinberg

Explanation: Weinberg